MIC-2 is a marker of-
1. Ewing's sarcoma
2. Osteosarcoma
3. Dermatofibrous protruberans
4. Alveolar cell sarcoma

Correct answer: 1. Ewing's sarcoma

Explanation: Ans. is 'a' i.e., Ewing's Sarcoma o MIC 2 (CD 99) is a specific marker for Ewing's sarcoma and peripheral primitive neuroectodermal tumors.